If less current is needed to elicit a response from a traumatized tooth indicates:
1. Pulpal inflammation
2. Pulp necrosis.
3. Pulp death.
4. All of the above.

Correct answer: 1. Pulpal inflammation

Explanation: If injured tooth requires more current than that for a normal tooth to give response indicates pulp death.
If less current is needed to elicit a response from a traumatize tooth indicates pulpal inflammation.